Pontiac fever is caused by?
1. Legionella
2. Mycoplasma
3. Rickettsia
4. Salmonella

Correct answer: 1. Legionella

Explanation: Ans. (a) LegionellaRef: BRS microbiology 4/e, p 50, Harrison's 17/e, chapter 141